An old man has enlarged prostate. Which of the following may be use to suppress his prostatic growth:
1. Spironolactone
2. Ketoconazole
3. Finasteride
4. Flutamide

Correct answer: 3. Finasteride